A patient with XO chromosomes and short stature is likely to have -
1. Klinefelter's syndrome
2. Turner's syndrome
3. Condy syndrome
4. Condy phenomenon

Correct answer: 2. Turner's syndrome